Regarding laryngomalacia -a) Most common cause of stridor in newbronb) Omega- shaped epiglottisc) Inspiratory stridord) Requires immediate surgerye) Stridor worsens on lying in prone position
1. ab
2. bc
3. abc
4. bcd

Correct answer: 3. abc